Privation of any member of joint is a ... hurt -
1. Simple
2. Grievous
3. Serious
4. Dangerous

Correct answer: 2. Grievous